Hypersecretory glaucoma is seen in –
1. Epidemic dropsy
2. Marfan's syndrome
3. Hypertension
4. Diabetes

Correct answer: 1. Epidemic dropsy

Explanation: "In epidemic dropsy, glaucoma is wide angle glaucoma, with normal chamber and angle. Outflow is within normal limits. The queous shows raised level of histamin, prostaglandin and protein suggesting that glaucoma is hypersecretory". _ Mukherjee